Which of the following act as antioxidants:
1. Glutathione peroxidase
2. Vit. C
3. Selenium
4. All

Correct answer: 4. All

Explanation: All Correct - A,B & C